Iridocorneal endothelial syndrome is associated with –
1. Progressive atrophy of iris stroma
2. Bilateral stromal edema of iris & cornea
3. Deposition of collagen in Descemet's membrane
4. Deposition of glycosaminoglycan in Descemet's membrane

Correct answer: 1. Progressive atrophy of iris stroma

Explanation: Iridocorneal endothelial (ICE) syndrome is characterized by abnormal corneal endothelium which causes :- Iris atrophy, Secondary angle closure glaucoma in association with characteristic peripheral anterior synechiae, Corneal edema.
Option 'c' may cause confusion here. You should keep in mind that in iridocorneal endothelial syndrome, collagen deposition occurs on the posterior surface of Descemet's membrane (not in the Descemet's membrane).